Which vaccine is contraindicated in child with history of convulsions –
1. DPT
2. Measles
3. Typhoid
4. BCG

Correct answer: 1. DPT